Best indicator for sterilization by autoclaving ?
1. Bacillus subtilis
2. Geobacillus
3. Bacillus pumilis
4. Clostridium

Correct answer: 2. Geobacillus

Explanation: Ans. is 'b' i.e., Geobacillus Biological indicators Biological indicators are standardised preparations of microorganisms used to assess the effectiveness of a sterilization process. They usually consist of a population of bacterial spores placed on an inert carrier, for example a strip of filter paper, a glass slide or a plastic tube. Most commonly, spores of Bacillus stereothermophilus (Geobacillus stearothermophilus) are used. Spores of Bacillus subtilis and Bacillus pumilis are alse used.